Pioneer bacteria in dental caries are in
1. Enamel
2. Dentin
3. Pulp
4. Cernenturn

Correct answer: 2. Dentin